High fall on feet after accident causes fracture of
1. Occipital ring fracture
2. Temporal bone fracture
3. Parietal bone fracture
4. Motorcyclist fracture

Correct answer: 1. Occipital ring fracture

Explanation: Answer- A. Occipital ring fractureRing fractureAn annular bone fracfure at the base of the posterior fossa around the foramen magnumAccompanied by compression fractures of vertebrae and blunt trauma to soft tissue.Mechanism is fall or jump from heights, usually > 5 stories, onto the feet or buttocks.